A female presents with swelling in neck, palpitations and exopthalmos, Which of the following is the most likely diagnosis?
1. Oranulomatous thyroiditis
2. Hashimoto thyroiditis
3. Graves disease
4. Mutinodular goitre

Correct answer: 3. Graves disease

Explanation: Answer- C. Graves diseaseThe clinical findings in Graves disease include some changes associated with thyrotoxicosis.The ophthalmopathy of Graves disease results in abnormal protrusion of the eyeball (exophthalmos).The infiltrative dermopathy, or pretibial myxedema, is most common in the skin overlying the shins.Graves disease, such as diffuse hyperplasia of the thyroid.